If only one terminal aldehyde group of glucose is oxidized, the product is -
1. Glucuronic acid
2. Gluconic acid
3. Gluchosaccharic acid
4. Gluconalactone

Correct answer: 2. Gluconic acid

Explanation: Ans. is 'b' i.e., Gluconic acid Oxidation of sugaro When aldose sugars are oxidized they may form three different sugar acid, depending upon oxidation of aldehyde group (at C-l) or terminal alcohol group (at C-6).i) Aldonic acid:- Oxidation of an aldose with hypobromous acid (HOBr) oxidises only aldehyde group and convert it to carboxyl group to form aldonic acid. For example, glucose is oxidized to gluconic acid.ii) Saccharic acid:- Oxidation of aldoses with nitric acid convert both aldehyde and terminal primary alcohol groups to carboxyl group, formic saccharic acid. For example, glucose is oxidize to glucosaccharic acid.iii) Uronic acid:- When an aldose is oxidized in such a way that the terminal primary alcohol is converted is to carboxyl without oxidation of aldehyde group, a uronic acid is produce. For example, glucose is oxidized to glucuronic acid.